Nicoladoni sign is positive in a young patient with an arteriovenous fistula. This sign is also known as:
1. Murray sign
2. Frei sign
3. Darrier sign
4. Branham sign

Correct answer: 4. Branham sign

Explanation: Nicoladoni-Branham sign: Compression of a large arteriovenous fistula may cause reflex slowing of the heart rate. Duplex ultrasonography may detect an arteriovenous fistula, especially one that affects the femoral artery and vein at the site of catheter access. Computed tomographic and conventional angiography can confirm the diagnosis. Ref: Creager M.A., Loscalzo J. (2012). Chapter 249. Vascular Diseases of the Extremities. In D.L. Longo, A.S. Fauci, D.L. Kasper, S.L. Hauser, J.L. Jameson, J. Loscalzo (Eds), Harrison's Principles of Internal Medicine, 18e.